Area of brain responsible for self stimulation reward on induction
1. Periaqueductal area
2. Mesencephalon
3. Medial forebrain bundle
4. Periventricular region of hypothalamus

Correct answer: 3. Medial forebrain bundle

Explanation: C i.e. Medial forebrain bundle